During normal inspiration diaphragm goes down by?
1. 1-2 cm
2. 3-5 cm
3. 5-7 cm
4. 7-9 cm

Correct answer: 1. 1-2 cm

Explanation: Ans. is 'a' i.e., 1-2 cmIn normal inspiration, the diaphragm descends 1-2 cm into the abdominal cavity producing a pressure difference of 1-3 mm hg and the inhalation of about 500 ml of air.